False about type I diabetes
1. Prone to DKA
2. Obesity is a feature
3. Reduced serum insulin
4. Susceptibility gene is located on Chromosome 6

Correct answer: 2. Obesity is a feature

Explanation: Type 1 DM is the result of interactions of genetic, environmental, and immunologic factors that ultimately lead to the destruction of the pancreatic beta cells and insulin deficiency. Type 1 DM, which can develop at any age, develops most commonly before 20 years of age. The major susceptibility gene for type 1 DM is located in the HLA region on chromosome 6. Deficiency of Insulin couldn't promote lipogenesis hence adiposity is not a feature of Type 1 Diabetes. Ref: Harrison's Principle of Internal Medicine; 19th edition; Chapter 417 Diabetes Mellitus: Diagnosis, Classification, and Pathophysiology